Most common cause of chronic pancreatitis is
1. Alcohol
2. Gallstones
3. Tropical pancreatitis
4. ERCP

Correct answer: 1. Alcohol

Explanation: Etiology of Chronic Pancreatitis Heavy alcohol consumption is most common cause of CP (70-80%) Smoking increases the risk of alcohol induced CP Other causes : Chronic duct obstruction, trauma, pancreas divisum, cystic dystrophy of the duodenal wall, Hyperparathyroidism, hypertriglyceridemia, autoimmune pancreatitis, tropical pancreatitis&hereditary pancreatitis (accounts for <10 %of all cases) Ref:Sabiston 20th edition Pgno :1531